Thoracic duct does not drain
1. Right upper part of body
2. Left upper part of body
3. Right lower part of body
4. Left lower part of body

Correct answer: 1. Right upper part of body

Explanation: Thoracic duct does not drain right upper half above the diaphragm B D CHAURASIA'S HUMAN ANATOMY UPPER LIMB THORAX-VOLUME-1 SIXTH EDITION,Page no-286